All are true about Abnormal uterine bleeding except :
1. Blood loss of less than 50 ml
2. Cycle duration is more than 35 days or less than 21 days
3. Bleeding period lasting 7 days or more
4. Irregular bleeding during a regular cycle

Correct answer: 1. Blood loss of less than 50 ml

Explanation: Normal Menstrual Loss The upper limit of blood loss in a normal menstruation is considered as 80ml. Any bleeding above the specified normal limit is termed as abnormal uterine bleeding. Normal Menustration: Cycle interval-28days(21-35 days) Menustral flow- 4 to 5 days Menustral blood loss-35ml (20- 80ml) Common causes of AUB: 1.DUB 2.Infections 3.Endocrine Dysfunction 4.Pregnancy Complications 5.Hematological disorders 6.Neoplastic growth. Reference: Textbook of Gynaecology; Sheila balakrishnan; 2nd edition; Page 48 DC Dutta's Textbook of Gynecology; 7th edition ,page 152